Blockade of Central Retinal Artery leads to temporary blindness is also known as:
1. Amaurosis fiigax
2. Gaze related amaurosis
3. Amblyopia ex anopsia
4. Amblyopia

Correct answer: 1. Amaurosis fiigax

Explanation: (A) Amaurosis fugax > Amaurosis Fugax is transient ischemic attack of retina characterized by transient sudden loss of vision lasting for few minutes, due to occlusion by minute emboli. It may be a premonitory symptom of CRAO.> D/D of "cherry red" spot on fundus CRAO, blunt injury (Berhin's edema of macula), Tay-Sach's disease, Niemann-Pick disease, Sandboffs disease & quinine ambliopia.> Cattle-track appearance is other important feature of CRVO, apart from Hol/enhorst plauge.